Following is false regarding epidural opioids
1. Epidural opioids cause respiratory depression
2. Epidural opioids don’t cause motor block
3. Epidural opioids injection need to be given in repeated doses
4. Epidural opioids cause no sympathetic blockade.

Correct answer: 3. Epidural opioids injection need to be given in repeated doses

Explanation: Epidural opioids have long lasting effect. So there is no need to give frequent injections.